Antropo-Zoonoses are all except -
1. Guinea worm infestation
2. Rabies
3. Plague
4. Hydatid cyst

Correct answer: 1. Guinea worm infestation

Explanation: Ans. is 'a' i.e., Guinea worm infestation Zoonoses o Zoonoses are diseases and infections which are naturally transmitted between vertebrate animal and man. o The zoonoses may be classified according to the direction of transmission of disease : ? 1. Anthropozoonoses Infection is transmitted to man from lower vertebrate animals. Examples -3 Rabies, plague, hydatid disease, anthrax, trichinosis. 2. Zoonthroponoses Infection is transmitted from man to lower vertebrate animals Examples --> Human tuberculosis in cattle 3. Amphixenoses Infection is maintained in both man and lower vertebrate animals that may be transmitted in either direction. Examples --> T cruzi, S. japonicum.